Epstein Barr virus causes autoimmunity by -(
1. Molecular Mimicry
2. Release of Sequestrated Antigen
3. Inappropriate Expression of MHC Class II Molecules
4. Polyclonal B cell Activation

Correct answer: 4. Polyclonal B cell Activation

Explanation: Ans. is 'd' i.e., Polyclonal B cell Activation . Epstein Barr Virus is a polyclonal activator. Polyclonal activation of B cells leads to the production of antibodies to host cell and viral proteins.